Tungsten coil contains the following element:
1. Thorium.
2. Indium.
3. Galium.
4. None.

Correct answer: 1. Thorium.